Which is true about shoulder dislocation?
1. Anterior dislocation is common than posterior
2. Fixed medial rotation in posterior dislocation
3. Kocher's manoeuvre is effective in anterior dislocation
4. All of the above

Correct answer: 4. All of the above

Explanation: D i.e. All of the above - Anterior dislocation of humerus produces an impaction fracture (defect) in the posterolateral aspect of humeral head (k/ a Hill-Sachs lesion) whereas, recurrent posterior dislocation of humerus produces an impaction fracture (defect) in the anteromedial humeral head (k/a reverse Hill Sachs lesion or Trough sign).- Most of the traumatic dislocations heal and would never recurrQ.